Pleomorphic adenoma of the lacrimal gland moves the eyeball -
1. Downwards and inwards
2. Downwards and outwards
3. Upwards and outwards
4. Upwards and inwards

Correct answer: 1. Downwards and inwards

Explanation: Slowly progressive painless tumor in the upper outer quadrant of the orbit displacing the eyeball downwards and inwards. Ref : ak khurana 6th edition img ref